Following statements are true about germ cell tumors of testis except -
1. They constitute 90-95% of all primary testicular tumors.
2. Seminoma is the most common tumor developing in the pts with cryptorchid testis.
3. Alpha-feto protein is markedly raised in all germ cell tumors.
4. High inguinal orchidectomy is the initial surgical procedure.

Correct answer: 3. Alpha-feto protein is markedly raised in all germ cell tumors.